Crucible indicated for casting base metal alloys is:
1. Carbon crucible
2. Clay crucible
3. Quartz crucible
4. High melting plastic crucible

Correct answer: 3. Quartz crucible